A variety of causative factors have been implicated in the development of Ca esophagus. Which of the following is NOT a predisposing factor for Ca esophagus?
1. Diverticula
2. Human papilloma virus
3. Mediastinal fibrosis
4. Caustic ingestion

Correct answer: 3. Mediastinal fibrosis

Explanation: Etiologic Factors Believed to Be Associated with Esophageal Cancer: Excess alcohol consumption Cigarette smoking Other ingested carcinogens Nitrates (converted to nitrites) Smoked opiates Fungal toxins in pickled vegetables Mucosal damage from physical agents Hot tea Lye ingestion Radiation-induced strictures Chronic achalasia Host susceptibility Human papillomavirus infection Esophageal web with glossitis and iron deficiency (i.e., Plummer-Vinson or Paterson-Kelly syndrome) Congenital hyperkeratosis and pitting of the palms and soles (i.e., tylosis palmaris et plantaris) Chronic gastric reflux (i.e., Barrett's esophagus) for adenocarcinoma Esophageal diverticula Ref: Phan A.T. (2011). Chapter 17. Gastric and Esophageal Cancer. In H.M. Kantarjian, R.A. Wolff, C.A. Koller (Eds), The MD Anderson Manual of Medical Oncology, 2e.